Which of the following is false regarding lambo eaton myasthenic syndrome?
1. It is a presynaptic disorder of the neuromuscular junction that can cause weakness
2. Associated with autoantibodies directed against P/Q-type calcium channels
3. Deep tendon reflexes are preserved
4. Pyridostigmine can be used as treatment

Correct answer: 3. Deep tendon reflexes are preserved

Explanation: LEMS is a presynaptic disorder of the NMJ that can cause weakness similar to that of MG. The proximal muscles of the lower limbs are most commonly affected, but other muscles may be involved as well. Cranial nerve findings, including ptosis of the eyelids and diplopia, occur in up to 70% of patients and resemble features of MG. However, the two conditions are usually readily distinguished because patients with LEMS have depressed or absent reflexes and experience autonomic changes such as dry mouth and impotence LEMS is caused by autoantibodies directed against P/Q-type calcium channels at the motor nerve terminals detected in ~85% of LEMS patients. These autoantibodies impair the release of ACh from nerve terminals. Treatment of LEMS involves plasmapheresis and immunotherapy, as for MG. 3,4-Diaminopyridine (3,4-DAP) and pyridostigmine can also help with symptoms. Ref harrison 20th edition page 3235